The typical bone marrow finding in ITP is:
1. Absent megakaryocytes
2. Foam cells
3. Increased megakaryocytes
4. Fragmented megakaryocytes

Correct answer: 3. Increased megakaryocytes

Explanation: Ans. C i.e. Increased megakaryocytesDiagnosis of ITPDespite the destruction of platelets by splenic macrophages, the spleen is normally not enlarged.In fact, an enlarged spleen should lead to a search for other possible causes for the thrombocytopenia.Bleeding time is usually prolonged in ITP patients.Normal bleeding time does not exclude a platelet disorder.Bone marrow examination may be performed on patients over the age of 60 and those who do not respond to treatment, or when the diagnosis is in doubt.On examination of the marrow, an increase in the production of megakaryocytes may be observed and may help in establishing a diagnosis of ITP.An analysis for anti-platelet antibodies is a matter of clinician's preference